Creatinine is the breakdown product of:
1. Adenosine triphosphate
2. Purine nucleotides
3. Pyrimidine nucleotides
4. Creatine phosphate

Correct answer: 4. Creatine phosphate

Explanation: Creatinine is the breakdown product of creatine phosphate This reaction occurs in muscles & does not involve any enzyme.